Which one of the following gram positive organism is most common cause of UTI among sexually active women?
1. Staphylococcus epidermidis
2. Staphylococcus aureus
3. Staphylococcus saprophyticus
4. Enterococcus

Correct answer: 3. Staphylococcus saprophyticus

Explanation: Ans. is 'c' i.e., Staphylococcus saprophyticus(Ref: Ananthanarayan, 9th/e, p. 206 and 8th/e, p. 202)Staph saprophyticus may be present on normal human skin and the periurethral area and can cause urinary tract infection, particularly in sexually active young women.Note: Most common cause is E. coli, which is not provided in the option.